Strawberry gall bladder is also known as -
1. Emphysematous Cholecystitis
2. Cholesterosis
3. Mucocoele
4. Gall Bladder polyp

Correct answer: 2. Cholesterosis

Explanation: Ans. is 'b' i.e., Cholesterosis o Strawberry gallbladder or cholesterosis is caused by the accumulation of cholesterol in macrophages within the gallbladder wall. These submucosal deposits produce a fine yellow reticular pattern on a red background of mildly inflammed mucosa, providing an appearance like a strawberry. Some of the cholesterol deposits protrude like polyps and can be detected on ultrasound. There is no well defined symptom complex linked to this entity. Although frequently an incidental finding at postmortem, it is sometimes associated with vague dyspeptic complaints, the irritable bowel syndrome or recurrent rt. upper quadrant pain.